Bowman's membrane is seen in -
1. Conjunctiva
2. Cornea
3. Lens
4. Iris

Correct answer: 2. Cornea

Explanation: Ans. is 'b' i.e.? CorneaHistology of corneao The cornea has five distinct layers (from superficial to deep) : -Epithelium : - It is the outermost part of cornea and is composed of stratified squamous uon-keratinized epithelial cells.Bowman's membrane : - It is not a true membrane but simply a condensed superficial part of stroma, destroyed, it does not regenerate.Stroma (Substantia propria): - This layer constitutes most of the cornea (90% of thickness). It consists of collagen fibrils (lamellae) embedded in hydrated matrix of proteoglycans.Descemet's membrane : - This layer bounds the stroma posteriorly. In the periphery it appears to end at the anterior limit of trabecular meshwork as Schwable's ring.Endothelium : - It is a single layer of flat polygnonal cells. The endothelial ceils contain lactive-pump' mechanism and is the most important layer in maintaining the transparency of cornea.